CSF is similar to
1. Endolymph
2. Perilymph
3. Cortilymph
4. Urine

Correct answer: 2. Perilymph

Explanation: Perilymph resembles extracellular fluid and rich in Na ions. It communicates with CSF through aqueduct of the cochlea which opens into scala tympani near the round window. Reference: Dhingra 6th edition.